Gland homologous to prostate in females is
1. Gartner's gland
2. Bartholin's gland
3. Skene's gland
4. Cowper's gland

Correct answer: 3. Skene's gland

Explanation: Masculine counterparts: Labia majora - scrotum clitoris - penis Labia minora - penile urethra and a part of skin of penis in males Bartholin's glands - bulb of penis Skene's glands - prostrate vestibular bulb - bulb of penis and corpus spongiosum DC Dutta's Textbook of Obstetrics 7th edition page no 1